Lens develops from
1. Neuroectoderm
2. Surface ectoderm
3. Mesoderm
4. Neural crest

Correct answer: 2. Surface ectoderm